All are true about thiopentone except
1. Na2CO3 is a preservative
2. contraindicated in porphyria
3. Agent of choice in shock
4. Has cerebroprotective action

Correct answer: 3. Agent of choice in shock

Explanation: In situations where the baroreceptor response will be blunted or absent (eg, hypovolemia, congestive heart failure, b-adrenergic blockade), cardiac output and arterial blood pressure may fall dramatically due to uncompensated peripheral pooling of blood and direct myocardial depression. So, sodium thiopental is contraindicated in shock. Ref: Morgan & Mikhail's clinical anesthesiology 6e